Which of the following drugs produces dissociative anaesthesia:
1. Ketamine
2. Propofol
3. Thiopentone
4. Enflurane

Correct answer: 1. Ketamine

Explanation: Ans. A i.e. Ketamine Ketamine Is a phencyclidine, Causes dissociative anaesthesia, Causes - Hallucination, - Delusion and - Illusion Causes profound analgesia Increases all pressures: - Intracranial Tension, - Intraocular pressure, - BP C/I in: Intracerebral mass/hemorrhage etc